Which can be used in pregnancy -
1. ACE inhibitors
2. Aldosterone
3. AT receptor antagonist
4. Propylthiouracil

Correct answer: 4. Propylthiouracil

Explanation: Ans. is 'd' i.e., Propylthiouracil Propylthiouracil is the drug of choice for hyperthyroidism during pre2nancv.Antithyroid drugs in pregnancyPropylthiouracil and methimazole are both antithyroid drugs that cross the placenta and can lead to fetal goiter.Methimazole has been associated with "cutis aplasia ".Scalp defects choanal atresia esophageal atresia and increased maternal side effects.Because both medications are equally effective the drug of choice for hyperthyroidism in pregnancy is propylthiouracil.Propylthiouracil is not available throughout the world and in those conditions, methimazole may be substituted. Antihypertensives in pregnancyAngiotensin-converting enzyme inhibitor (ACE inhibitor) e.g., Enalapril, captopril can cause fetal renal tubular dysplasia in the second and third trimesters leading to oligohydramnios fetal limb contractures, craniofacial deformities, and hypoplastic lung developmentA recent large cohort study found an increased risk of congenital malformations with isolated first-trimester exposure to ACE inhibitors.Infants exposed in utero to ACE inhibitors were at increased risk of cardiovascular and CNS malformations.Angiotensin II receptor antagonists have been shown to have second and third-trimester findings consistent with ACE inhibitors and are not recommended in pregnancy.AldosteroneWe have not got any literature on the use of Aldosterone during pregnancy.We are not sure of its use during pregnancy.